The commonest teeth involved in transposition are:
1. Maxillary central incisor and lateral incisor
2. Maxillary canine and first premolar
3. Maxillary 1st premolar and 2nd premolar
4. Maxillary canine and lateral incisor

Correct answer: 2. Maxillary canine and first premolar